Most common cause of hyperparathyroidism is-
1. Solitary adenoma
2. Chief cell hyperplasia
3. Multiple adenoma
4. Werner's syndrome

Correct answer: 1. Solitary adenoma

Explanation: a single abnormal gland is the cause in 80% of patients , abnormality is usually beningn ( Harrison 17 pg 2380)